Cobblestone appearance of oral mucosa:
1. Crohn disease.
2. Ulcerative colitis.
3. Whipple disease.
4. All of the above.

Correct answer: 1. Crohn disease.

Explanation: Crohn disease:

A type of granulomatous disease involving the intestinal mucosa
Also called regional enteritis
Characterized by granulomatous, superficial ulcerations of the intestinal tract with frequent fistulas developing onto body surfaces or viscera, or between intestinal loops.